Peripheral vasospasm is adverse effect of which drug?
1. Ropinirole
2. Levodopa
3. Bromocriptine
4. Pramipexole

Correct answer: 3. Bromocriptine

Explanation: Bromocriptine and pergolide are ergot derivatives and dopamine agonists These are known to cause vasoconstriction and thus gangrene S/E of Pergolide : Valvular heart disease Pramipexole and ropinirole are also dopamine agonists but these are non-ergot derivatives. These do not cause gangrene and are longer acting. S/E of Ropinirole : Nausea, dizziness, hallucinations,postural hypotension.